Reading and writing skills of a moderately mental retarded child -
1. Reasonable
2. Basic
3. Minimal
4. None

Correct answer: 2. Basic

Explanation: Ans. is 'b' i.e., BasicLevel of functioning of different level of MRFeaturesMild MR (IQ : 50-69)Moderate MR (IQ: 35-49)Severe MR (IQ : 20-34)Profound MR (IQ: < 20)NameEducableTrainableDependentNeed life supportEducationUpto 6th standardUpto 2nd standardNo educationNo educationLifeo Successful & independento Self sufficient with a little supporto Support is required only in stressful conditionsNeed some helpNeed to be attendedRequire continous supervision and nursing careMental ageAs adult have mental age of 9-12 yearsAs adult has mental age of 6-8 years isAs adult mental age 3-6 yearsAs adult mental age < 3 yearsLanguageReasonableLimitedMinimal or noneMinimal or NoneReading & writingReasonableBasicNone/minimalNoneWorkUnskilled or semiskilled work without supervsionUnskilled or semiskilled work under supersionSimple tasks under supersion-